Daily per capita water consumption is –
1. 50-100 litres
2. 100-150 litres
3. 150–200 litres
4. 200-250

Correct answer: 3. 150–200 litres

Explanation: Water

The basic physiological requirements for drinking water have been estimated at about 2 liters per head per day.
A daily supply of 150-200 liters per capita is considered as an adequate supply to meet the needs for all urban domestic purposes.
In India, 40 liters of water supply per capita per day was the set target to be achieved in rural areas.
Safe and wholesome water: has been defined as water that is
Free from pathogenic agents
Free from harmful chemical substances
Pleasant to taste (free from colour and odour)
Usable for domestic purposes
Water is said to be 'polluted' or contaminated' if it does not fulfill above criteria
Safe yield of water: Yield that is adequate for 95% of the year

Following information has also been added in 22nd /e of Park

Population with access to safe water in India → 92%
Population with access to adequate sanitation in India → 34%